All of the following are types of epiphysis, EXCEPT:
1. Traction
2. Atavistic
3. Friction
4. Pressure

Correct answer: 3. Friction

Explanation: Epiphysis: The end and tips of bones which ossify from secondary centres is known as epiphysis. There are 4 types of epiphysis:Pressure--head of humerous, condyles of tibia, lower end of radius.Traction--humerus tubercles, trachanters of femur, mastoid process.Atavistic--coracoids process of Scapula, Os trigonum.Aberrrant--Head of first metacarpal and base of other metacarpals.